Klebsiella pneumonia has all of the following characteristics except:
1. Upper lobes are frequently involved
2. Pneumatocele may occur commonly
3. Empyema is much more common
4. Lung abscess formation is very uncommon

Correct answer: 4. Lung abscess formation is very uncommon

Explanation: Klebsiella pneumonia :- is common in alcoholics and immunocompromised patients presents as an upper lobe involvement CT chest shows poorly marginated lowly attenuated areas with and without small air-containing cavities called as pneumatoceles. Pulmonary necrosis, pleural effusion and empyema can occur with disease progression.So,Lung abscess is common in these pts. CXR :- shows Homogenous non-segmental lobar consolidation showing Bulging fissure sign and lung abscess in 50% of cases.